'Mickey Mouse Ears' is a histological feature of:
1. Candidiasis
2. Paracoccidioidomycosis
3. Leptospirosis
4. Tuberculosis

Correct answer: 2. Paracoccidioidomycosis

Explanation: Paracoccidioidomycosis is a deep fungal infection that is caused by Paracoccidioides brasiliensis.
P. brasiliensis elicits a granulomatous inflammatory host response that is characterized by collections of epithelioid macrophages and multinucleated giant cells. The organisms often show multiple daughter buds on the parent cell, resulting in an appearance that has been described as resembling “Mickey Mouse ears” or the spokes of a ship’s steering wheel (“mariner’s wheel”).
Ref: Neville's  oral and maxillofacial pathology 4th edition page 206